Hydroxylation of peptidyl prolyl residues in collagen require:
1. Ascorbate
2. a ketoglutarate
3. Oxygen
4. All of the above

Correct answer: 4. All of the above

Explanation: Hydroxyproline and hydroxylysine occur principally in collagen. Since there is no tRNA for either hydroxylated amino acid, neither dietary hydroxyproline nor hydroxylysine is incorporated during protein synthesis. Peptidyl hydroxyproline and hydroxylysine arise from proline and lysine, but only after these amino acids have been incorporated into peptides. Hydroxylation of peptidyl prolyl and lysyl residues, catalyzed by prolyl hydroxylase and lysyl hydroxylase of skin, skeletal muscle, and granulating wounds requires, in addition to the substrate, molecular O2, ascorbate, Fe2+, and d. a-ketoglutarate Ref: Harper 28th edition, chapter 27.